Procedure for serous otitis media is:
1. Tympanoplasty
2. Mastoidectomy
3. Myringotomy
4. Stapedotomy

Correct answer: 3. Myringotomy

Explanation: (c) Myringotomy(Ref. Scott Brown, 8th ed., Vol 2; 125)Tympanoplasty constitutes surgical repair of the TM, i.e. myringoplasty along with replacement of ossicles, i.e. ossiculoplasty and is the procedure for CSOM.